Menorrhagea, which IUCD should be used -
1. CNG
2. CuT
3. Mirena
4. Multiload

Correct answer: 3. Mirena

Explanation: Ans. is 'c' i.e., Mirena